The ratio of chest compression to rescue breath ratio for a lone rescuer in CPR for all ages is?
1. 30:02:00
2. 15:02
3. 3:01
4. 30:01:00

Correct answer: 1. 30:02:00

Explanation: The chest compression to ventilation ratio is 30: 2 for all age groups except neonatal resuscitation where the ratio is 3:1. Even in infants and children the ratio is 30:2 For adults irrespective of number of rescuers the ratio of chest compression to ventilation ratio is 30: 2. For children if 1 rescuer is present the chest compression to ventilation ratio is 30: 2 For children if 2 or more rescuers are present the chest compression to ventilation ratio is 15:2